Serum alkaline phosphatase level is normal in:
1. Multiple myeloma.
2. Paget's disease.
3. Fibrous dysplasia.
4. All of the above.

Correct answer: 1. Multiple myeloma.

Explanation: Serum alkaline phosphatase elevated in:
Paget's disease.
Fibrous dysplasia.
Hyper parathyroidism (Brown’s tumour)
Note: Serum alkaline phosphatase level is normal in multiple myelomaQ